Carphologia is seen in:
1. Datura poisoning
2. Digitalis poisoning
3. LSD overdose
4. Alcohol withdrawal

Correct answer: 1. Datura poisoning

Explanation: Carphologia is seen in Datura poisoning Typical pill rolling movements Pull imaginary threads from fingertips Threads imaginary needles Other sign and symptoms: Dry mouth, irrelevant slurred speech, dry and hot skin, dilated pupils. Physostigmine, a reversible acetylcholine-esterase antagonist, is effective treatment for severe anticholinergic poisoning.